Trachoma causes
1. Mechanical ptosis
2. Trichiasis
3. Entropion
4. All of the above

Correct answer: 4. All of the above

Explanation: Mechanical ptosis Trichiasis Entropion All are sequelae of Trachoma due to scarring Refer: Khurana 6th edition page number 65